General visceral fibres do not supply
1. Smooth muscles
2. Skeletal muscles
3. Cardiac muscles
4. Glands

Correct answer: 2. Skeletal muscles

Explanation: Skeletal muscle is not supplied by general visceral fibres Inderbir Singh's textbook of human Histology Seventh edition